The screening method of choice in area where the prevalence of leprosy is 1/1000 is -
1. Contact survey
2. Group survey
3. Mass survey
4. Any of the above

Correct answer: 2. Group survey

Explanation: Contact survey is done in areas where prevalence of leprosy is generally low ie less than 1 case per 1000 population. Group survey when prevalence is 1 in 1000 Mass survey is done in hyperendemic area where prevalence is about 10 or more per 1000 population Reference; Park's Textbook of preventive and social medicine, 24th edition.Pg no. 339